Insulin does not facilitate glucose uptake in the following except :
1. Liver
2. Heart
3. RBC
4. Kidney

Correct answer: 2. Heart

Explanation: B i.e. Heart